Most sensitive test for acute fetal distress :
1. Fresh meconium on induction of labour
2. Loss of beat to beat variation of heart beat
3. Increased fetal movements
4. Type 1 dips in second stage

Correct answer: 2. Loss of beat to beat variation of heart beat

Explanation: Loss of beat to beat variation of heart beat